When the patient fails to understand normal speech but can understand shouted or amplified speech the hearing loss is termed as
1. Mild hearing loss
2. Moderate hearing loss
3. Severe hearing loss
4. Profound hearing loss

Correct answer: 3. Severe hearing loss

Explanation: DEGREES OF HEARING LOSS 0-25dB-Not significant impairment- no significant difficulty with faint speech 26-40dB-Mild impairment-Difficult with faint speech 41-55dB-Moderate impairment -Frequently difficult with normal speech 56-70dB-Moderately severe impairment-Frequently difficult with loud sound 71-91dB-Severe impairment-Can understand only shouted or amplified sound Above 91-Profound impairment-Usually cannot understand even amplified sound Ref: Diseases of EAR, NOSE AND THROAT by PL DHINGRA - 6th Edition. Page no. 39